Tetralogy of fallot is characterized by following except-
1. AS
2. VSD
3. Over-riding of aorta
4. Infundibular constriction

Correct answer: 1. AS

Explanation: Ans. is 'a' i.e., AS